Glutathione does all of the following except?
1. Participates in the transport of amino acids across some cell membranes
2. Scavenge peroxides
3. Decreases the stability of erythrocyte membranes
4. Form conjugates with some drugs to increase water solubility.

Correct answer: 3. Decreases the stability of erythrocyte membranes

Explanation: Decreases the stability of erythrocyte membranes.